Boiled lobster appearance is seen in poisoning with
1. Sulphuric acid
2. Boric acid
3. Carbolic acid
4. Formic acid

Correct answer: 2. Boric acid

Explanation: Boric acid - Used as antiseptic and insecticide - Produces generalised erythema resembling boiled lobster appearance with massive areas of desquamation - D/D: Toxic epidermal necrolysis, Staphylococcal scalded skin syndrome